SARS virus is a?
1. Coronavirus
2. Lentivirus
3. Calciviridae
4. Hepadnaviridae

Correct answer: 1. Coronavirus

Explanation: ANSWER: (A) CoronavirusREF: Harrison's 18th ed chapter 186An extraordinary outbreak of the coronavirus-associated illness known as SARS occurred in 2002-2003. The outbreak apparently began in southern China and eventually resulted in 8096 recognized cases in 28 countries in Asia, Europe, and North and South America; 90% of cases occurred in China and Hong Kong.The natural reservoir of SARS-CoV appeared to be the horseshoe bat, and the outbreak may have originated from human contact with infected semidomesticated animals such as the palm civet. In most cases, however, the infection was transmitted from human to human.Case-fatality rates varied among outbreaks, with an overall figure of 9.5%. The disease appeared to be somewhat milder in cases in the United States and was clearly less severe among children. The outbreak ceased in 2003; 17 cases were detected in 2004, mostly in laboratory-associated settings, and no cases were reported in 2005-2009